Acoustic neuroma causes the following except-
1. Ptosis
2. Nystagmus
3. Unilateral deafness
4. Loss of corneal reflex

Correct answer: 1. Ptosis